The sac contains only a portion of the circumference of the intestine is called:
1. Richter's hernia
2. Littre's hernia
3. Spigelian hernia
4. Lumber hernia

Correct answer: 1. Richter's hernia

Explanation: (Richter's hernia) (1274-Baily & Love 24th) (970-B &L 25th)1. Richter's hernia - is a hernia in which the sac contains only of portion of the circumference of the intestine (usually small intestine). It usually complicates femoral and obturator hernias2. Littre's hernia - A meckel's diverticulum3. Spigelian hernia - This is a variety of interparietal hernia occurring at the level of the arcuate line4. Lumber hernia - Most primary lumber hernia occurs through the inferior lumbar triangle of Petit. Bounded below by the crest of the ilium, laterally by the external oblique and medially by the latissmus dorsi.